WHO formation day is -
1. 5-May
2. 7-Apr
3. 10-Jun
4. 10-Jul

Correct answer: 2. 7-Apr

Explanation: In 1946 the constitution was drafted by "Technical Preparatory Committee " under the chairmanship of Rene Sand and was approved in the same year by an International Health Conference of 51 nations in New york. The constitution came in to force on 7 th April 1948 which is celebrated every year as "World Health Day "(refer pgno:919 park 23rd edition)